Which of the following statements about platelet function defects is true?
1. Normal platelet count with prolonged bleeding time
2. Thrombocytopenia with prolonged bleeding time
3. Thromobocytosis with prolonged bleeding time
4. Normal platelet count with normal bleeding time

Correct answer: 1. Normal platelet count with prolonged bleeding time

Explanation: Ans. (a) Normal platelet count with prolonged bleeding time(Ref: Robbins 9th/pg 660; 8th/pg 670)In platelet function defects, there is normal platelet count with prolonged bleeding time